H. pylori causes:
1. Type A Gastritis
2. Type B Gastritis
3. Autoimmune
4. Allergic gastritis

Correct answer: 2. Type B Gastritis

Explanation: Chronic Gastritis: Type A Type B Autoimmune etiology Circulating antobodies to the parietal cell results in the atrophy of the parietal cell mass, resulting in hypochlorhydria and ultimately achlorydria Associated with pernicious anemia Primarily involves body and fundus Associated with H. pylori infection Primarily involves antrum Ref: Bailey 27th edition Pgno: 1115